The law stating that "the relative frequency of each gene allel tend to remain constant fromgeneration to generation "is known as-
1. Mendel's law
2. Hardy-Weinberg law
3. David-Morgan's law
4. Lamarck's law

Correct answer: 2. Hardy-Weinberg law

Explanation: Hardly-weinberg law is related to population genetics Hardly-weinberg law states that the relative frequencies of each allele tends to remain constant from generation to generation in the absence of of forces that change the gene frequencies. ref; (page no;827) 23rd edition of PARK's textbook of Preventive and Social medicine